Coagulative necrosis is due to:
1. Denaturation of protein
2. Enzymatic digestion
3. Infection
4. None

Correct answer: 1. Denaturation of protein

Explanation: Ans. (a) Denaturation of protein(Ref Robbins 9th/pg 50)Coagulative necrosis: most common type of necrosisOccurs due to degenerated cytoplasmic proteins